40 yr old man presents with single erythematous plaque on the penis. Histologic examination reveals dysplastic cells throughout the epidermis . All of the following are true about the disease, patient is suffering from except?
1. Intact basement membrane
2. Occurs in older uncircumcised males
3. No transformation to invasive carcinoma
4. Strong association with HPV types 16 and 18

Correct answer: 3. No transformation to invasive carcinoma

Explanation: Above history point towards diagnosis of Bowen disease Squamous cell carcinoma in situ of the penis Occurs in older uncircumcised males Grossly as a solitary plaque on the shaft of the penis Histologic examination :dysplastic cells throughout the epidermis with no invasion of the underlying stroma Intact basement membrane Factors implicated in pathogenesis of penile squamous cell carcinoma are: Poor hygiene (with resultant exposure to potential carcinogens in smegma) Smoking, HPV types 16 and 18. In 10% patients , it gives rise to invasive squamous cell carcinoma